The mechanism of action of chloramphenicol is inhibition of synthesis of:
1. Cell wall
2. Cell membrane
3. Protein
4. DNA

Correct answer: 3. Protein